Saphenous vein cannulation is-
1. Ant to medial malleolus
2. At fossaovalis
3. Above popliteal fossa
4. None

Correct answer: 1. Ant to medial malleolus

Explanation: Ans. is 'a' i.e., Ant. to medial malleolus o Saphenous venous cut down at ankle provide excellent access. It is reliably found 1 cm. anterior and 1 cm. superior to the medial malleolus.